Acute Viral hepatitis A & E are diagnosed by
1. IgM A & IgM E
2. IgG A & IgG E
3. Liver biosy
4. Virus in stool

Correct answer: 1. IgM A & IgM E

Explanation: (A) IgM A & IgM E CLINICAL AND EPIDEMIOLOGIC FEATURES OF VIRAL HEPATITISFeatureHAVHBVHCVHDVHEV* Incubation (days)15-45, mean 3030-180, mean 60-9015-160, mean 5030-180, mean 60-9014-60, mean 40* OnsetAcuteInsidious or acuteInsidiousInsidious or acuteAcute* Age preferenceChildren, young adultsYoung adults (sexual and percutaneous), babies, toddlersAny age, but more common in adultsAny age (similar to HBV)Young adults (20-10 years)Transmission* Fecal-oral+ + +---+ + +* PercutaneousUnusual+ + ++ + ++ + +-* Perinatal-+ + +++-* Sexual++ +++ +-Clinical* SeverityMildOccasionally severeModerateOccasionally severeMild* Fulminant0.1%0.1-1%0.1%5-20%1-2%